All of the following immunohistochemical markers are positive in the neoplatic cells of granulocytic sarcoma, except ?
1. CD45 RO
2. CD 43
3. Myeloperoxidase
4. Lysozyme

Correct answer: 1. CD45 RO

Explanation: Ans. is 'a' i.e., CD 45 RO Granulocytic sarcoms (Chloroma or myeloblastoma) Granulocytic sarcoms or chloroma is a solid tumor composed of myeloblasts. A chloroma is an extramedullary manifestation of AML, i.e., it is a solid collection of leukemic cells occuring outsited of the bone marrow. These tumor often have a green tint due to the presence of myeloperoxidase. Chloromas are more common in monocytic differentiation (M4 & M5 type) AML. Though chloromas occurs most commonly in patients with AML, they may also occur in patient with : ? Myelodysplastic syndrome Myeloproliferative syndromes Myelofibrosis, CML, Polycythemia vera, Essential thrombocytosis in) Without concomitant disease, i.e., Primary chloroma. Chloromas are positive for : ? CD 68 CD 20 CD 117 Lysozyme CD 43 CD 34 Myeloperoxidase